All the following statements are true for influenza viruses except:
1. Helical symmetry
2. Single stranded non segmented RNA
3. Haemagglutinin and neuraminidase spikes present
4. RNA dependent RNA polymerase

Correct answer: 2. Single stranded non segmented RNA

Explanation: Influenza viruses show following features: 1. Influenza viruses are spherical or filamentous,posses helical symmetry, enveloped particles 80-120 nm in diameter. 2. Influenza virus is composed of a characteristic segmented single-stranded RNA genome, a nucleocapsid, and an envelope. 3. The viral genome is a single-stranded antisense RNA. The genome consists of an RNA-dependent RNA polymerase, which transcribes the negative-polarity genome into mRNA. 4. The genome consists of eight segments. These segments code for different proteins which are NS1, NS2, NP, M1, M2, M3, HA, and NA. 5. Two types of spikes or peplomers project from the envelope: (a) the triangular hemagglutinin (HA) peplomers and (b) the mushroom-shaped neuraminidase (NA) peplomers.